Which of the following is done for the quick diagnosis of Erythrasma-
1. Biopsy
2. KOH examination
3. Culture and sensitivity
4. Wood's lamp examination

Correct answer: 4. Wood's lamp examination

Explanation: Ans is 'd' i.e. Wood's lamp examination o Erythrasma is caused by infection by Coryneform bacteria. Wood's lamp examination is a commonly used test to diagnose Erythrasma. Lesion shows coral red fluorescence due to coproporphyrin III production by the bacteria.ConditionFluorescent coloursTinea capitisBright yellow greenErythrasmaCoral red or pinkVitiligoMilky whiteAlbinismBlue whiteLeprosyBlue whiteTuberous sclerosisBlue whitePseudomonas infectionGreenish whitePorphyriaPink/orangeTinea versicolorGolden yellow